All are seen in hemochromatosis except-
1. Hypogonadism
2. Arthropathy
3. Bronze diabetes
4. Desferrioxamine is the treatment of choice

Correct answer: 4. Desferrioxamine is the treatment of choice

Explanation: Answer is D (Desferrioxamine is the treatment of choice): The treatment of choice for Hematochromatosis is removed of excess body iron by Phlebotomy and not with the use of chelating agents like desfernoxamine. Phlebotomy is the treatment of choice in Hematochromatosis Treatment of Haematochromatosis Therapy of Haematochromatosis involves removal of excessive body iron and supportive treatment of damaged organs Removal of Excessive Body iron Phlebotomy is the treatment of choice - Iron removal is best accomplished by once or twice weekly phlebotomy of 500m1, - These should be continued until the serum ferritin level is < 50tig/L (May be required for 1-2 years) - Thereafter phlebotomies are performed at appropriate intervals to maintain ferritin levels between 50-100 tg/L (usually one phlebotomy every 3 months) - Chelating agents (such as Desferoxamine) are alternative agents and indicated when anemia and hypoproteinemia are severe enough to preclude phlebotomy Alcohol consumption should be eleminatedQ as it increases the risk of cirrhosis in hematochromatosis nearly ten fold The charachteristic clinical features of Haemochromatosis in order of frequency area : Hepatomegaly (95%) Skin pigmentation (90%) Diabetes mellitus (65%) Arthropathy (25-50%) Cardiac disease (15%) Hypogonadism Arthropathy, Hypogonadism, Diabetes and Bronzing (pigmentation) of skin are all characteristic manifestation of hematochromatosis Note: The combination of skin hyperpigmentation and insulin deficiency (diabetes) is called Bronze diabetes.